Carotid atheromas may appear radiographically as:
1. Nodular radio-opaque mass
2. Double vertical radio-opaque lines within the neck
3. Both of the above
4. None of the above

Correct answer: 3. Both of the above